What should be the time of termination of pregnancy of a female with overt diabetes controlled with insulin ?
1. 40 weeks
2. 32 weeks
3. 37+ weeks
4. 34 weeks

Correct answer: 3. 37+ weeks

Explanation: Type of diabetes Time of delivery GDM controlled on diet GDM controlled on insulin Overt diabetes 40 - 41 weeks 38 weeks >= 37 wks.